Skeletal derivative of 2nd pharyngeal arch
1. Malleus
2. Incus
3. Stapes
4. Maxilla

Correct answer: 3. Stapes

Explanation: HUMAN EMBRYOLOGY-INDERBIR SINGH TENTH EDITION-PAGE NO:131